During surgery after inhalational anesthesia a patient suddenly developed, fever, increased heart rate and BP, acidosis and arrhythmia. What is your first step of intervention
1. Dantrolene
2. Sodium bicarbonate
3. Procainamide
4. Antipyretics

Correct answer: 1. Dantrolene

Explanation: A i.e. Dantrolene Sudden development of fever, tachycardia, hypertension arrhythmia and acidosis after inhalational anesthesia (most probably halogenated drug) or muscle relaxant succinylcholine suggest an episode of malignant hyperthermia. The triggering agent must be stopped and dantrolene must be given immediatelyQ.